The given ECG of a neonate born to a mother with SLE shows?
1. Complete heart block
2. Mobitz I heart block
3. Mobitz II heart block
4. Sick sinus syndrome

Correct answer: 1. Complete heart block

Explanation: The atrial rate is approximately 100 bpm (RED TRACING) and ventricular rate is 40 bpm (BLUE TRACING). Since the two rates are independent it suggests complete heart block/ AV dissociation. Causes of complete heart block: Inferior wall MI AV conduction blocking drugs ,CCB, beta blockers and digoxin Degeneration of conducting system (Lenergre's or Lev's disease) Neonatal lupus (anti- Ro antibody)